Blood is stored at what temperature in blood bank?
1. -2 to -4 degrees Celsius
2. -2 to 0 degrees Celsius
3. 1 to 6 degrees Celsius
4. 6 to 12 degrees Celsius

Correct answer: 3. 1 to 6 degrees Celsius

Explanation: Ans. is 'c' i.e., 1 to 6 degrees Celsius